Daltroban is antagonist of ?
1. Angiotensin
2. Nitric oxide
3. Thromboxane A2
4. Oxytocin

Correct answer: 3. Thromboxane A2

Explanation: Ans. is 'c' i.e., Thromboxane A2 Drug affecting TXA2 are : - Cox inhibitors like aspirin and other NSAIDS inhibit the synthesis of TXA2. Daltroban and sultraban are TXA2 receptor antagonists. Dazoxiben inhibit the enzyme thromboxane synthase.